Which is the fish is used for larva control of malaria-
1. Gambusia
2. Amphethis
3. Globerulis
4. None

Correct answer: 1. Gambusia

Explanation: Ans. is 'a' i.e., Gambusia Antilarval MeasuresEnvironmental control(source reduction)Chemical controlBiological control(Larvicidal agents)The most important step in reducing number of mosquitoes is to eliminate their breeding placesMethods include:a) Minor engineering methods# Levelling# Filling# Drainage of breeding placesb) Water management:# Intermittent irrigation# Changing salinity of water (making water unsuitable for mosquito breeding)Employs usage of chemical insecticides that act as larvicidesi) Mineral oilsii) Paris green (copper acetoarsenite)iii) Synthetic insecticides# Fenthion# Chlorpyrfos# AbateEmploys usage of small fish that feed on mosquito larvae# Gambusia affinis# Lebister reticulatus